Color of postmortem staining:
1. Greenish yellow
2. Blackish
3. Reddish brown
4. Bluish purple

Correct answer: 4. Bluish purple

Explanation: Ans. Bluish purple